Bohler's angle is decreased in fracture of
1. Calcaneum
2. Talus
3. Navicular
4. Cuboid

Correct answer: 1. Calcaneum

Explanation: Calcaneum 1Ref. Apley's 8/e, p 750-75]; Ebnezar Orthopedics 3/e, p 263-264; Maheshwari 3/e, p 1401 Bohler's angle (also k/a Tuber joint angle) measures the angular relationship between talus and calcanecum. Flattening of this angle is a classic x-ray sign of depressed fracture of calcaneum. Other angle which is of importance in calcaneal fracture is Crucial angle of "Gissane" More about calcaneal Calcaneum is the most commonly fractured tarsal bone In 5-10% of cases is bilateral * Most common mechanism of injury is fall front height, often from a ladder, onto one or both heels. The calcaneum is driven up against the talus and is split or crushed. About one fifth of these patients suffer associated injuries of the spine, pelvis or hip. * Also k/a loveri fracture' * Plain x-rays done for calcaneal fracture include lateral, oblique and axial views, Axial view of calcaneum is also k/a Hans view. * CT is the inv. of choice * With severe injuries and especially with bilateral fractures - it is essential to x-ray the knees, the spine and the pelvis as well Other angles of importance Cobb's angle - Scoliosis (Apley's 8/e, p 377; Maheshwari 3/e, p 235) Kite's angle - CTEV (Apley's 8/e, p 489; Maheshwari 3/e, p 196) Meary's angle _> Pes cavus (plantaris (Apley's 8/e, p 497) deformity) Hilgenreiner's epiphyseal angle Congenital coxa vera (Apley's 8/e, p 420) Baurnann's angle Supra condylar (Apley's 8/e, p 597) C alcaneum 1Ref. Apley's 8/e, p 750-75]; Ebnezar Orthopedics 3/e, p 263-264; Maheshwari 3/e, p 1401 * Bohler's angle (also k/a Tuber joint angle) measures the angular relationship between talus and calcanecum.